The cell body of all sensory neurons is located within the
1. Dorsal gray horn
2. Dorsal root ganglion
3. Spinal cord
4. Brain

Correct answer: 2. Dorsal root ganglion

Explanation: B: The cell bodies of the sensory neurons leading to the spinal cord are located in clusters, the dorsal root ganglia (DRG), next to the spinal cord.
A: Dorsal gray horn is a mass of gray matter found in every segment of the spinal cord and is responsible for the processing system of sensory signals that travel within the spinal cord,
C: The spinal cord is a long, thin, tubular bundle of nervous tissue and support cells that extends from the foramen magnum at the base of the skull to the second lumbar vertebrae.
D: Brain serves as a command center for the human nervous system. It receives input from the sensory organs and sends output to the muscles.